All the following are sporicidal agents except
1. Autoclave
2. Formaldehyde
3. Ethylene oxide
4. Alcohol

Correct answer: 4. Alcohol

Explanation: Alcohol acts on bacteria fungi and some enveloped viruses but not spores.